Antiparkinson's drug known to cause cardiac valvular fibrosis is
1. Levodopa
2. Ropinirole
3. Pramipexole
4. Pergolide

Correct answer: 4. Pergolide

Explanation: Pergolide, ergot derivative, directly stimulates both D1 and D2 receptors. It has been widely used for parkinsonism but is no longer available because its use has been associated with the development of valvular heart disease.Reference: Katzung Pharmacology; 13th edition; Chapter 28; Pharmacologic Management of Parkinsonism & Other Movement Disorders